Hand foot mouth syndrome is caused by -
1. Parvovirus 6
2. Parvovirus 19
3. Coxsackie virus A 16
4. Coxsackie virus A 19

Correct answer: 3. Coxsackie virus A 16

Explanation: HFMD id caused by coxsackie virus A16,A9,B1-3 REF:ANATHANARAYANAN MICROBIOLOGY NINTH EDITION PAGE.491